Which drug is used to treat PDA?
1. Oxaceprol
2. Indomethacin
3. Dopamine
4. Medical treatment Is ineffective

Correct answer: 2. Indomethacin

Explanation: Ans. is 'b' i.e., Indomethacin Management of PDAo NSAIDs (most commonly indomethacin) are used to induce closure of PDA, as these drugs inhibit synthesis of prostaglandins (Prostaglanding are involved in maintainance of patency of ductus arteriosuso Recent studies from Europe indicate that ibuprofen may be as effective as indomethacin for the medical closure of preterm PDA.o If indomethacin is not successful and the ductus remains hemodynamically significant, surgical ligation(AI 08) with or without division of ductus should be performed.